Commonest cause of hirsutism in a teenage girl :
1. Ovarian disease
2. PheochromocytomaObesity
3. Obesity
4. Adrenogenital syndrome

Correct answer: 1. Ovarian disease

Explanation: Ans. is a i.e. Ovarian disease As explained earlier PCOD is the most common cause of hirsutism. PCOD most common affects teenage girls (15 - 25 years). Therefore, In teenage girls most common cause of hirsutism is PCOD.